Which one of the following enzymes is obtained from Thermophillus aquaticus bacterium which is heat stable and used in PCR at high temperature:
1. DNA polymerase III
2. Endonuclease
3. Taq polymerase
4. DNA gyrase

Correct answer: 3. Taq polymerase

Explanation: Taq polymerase Heat stable Derived from a bacteria; Thermophillus aquaticus or Thermus aquaticus. Lacks proof reading. Thermostable DNA Polymerase enzymes with proof reading function in PCR: Pfu: Pyrococcus furiosus Pwo polymerase: Pyrococcus woesei Tli: Thermococcus litoralis - also known as Vent Polymerase Best- Use Pfu in conjunction with Taq polymerase